Exclusive breast feeding should be carried upto:
1. 4 months
2. 6 months
3. 8 months
4. 10 months

Correct answer: 2. 6 months

Explanation: Ans. B: 6 months To accrue the maximum benefits, the breastfeeding must be exclusive (only breast milk, nothing other than breast milk except vitamin drops, if indicated), initiated within half an hour of birth, and continued through first 6 months after birth.